The best way to diagonse the degree of placenta previa is-
1. Transvaginal sonography
2. Double set-up examination
3. Observation during C.S.
4. Examination of placenta after delivery

Correct answer: 1. Transvaginal sonography

Explanation: Previa can be confirmed with an ultrasound. Transvaginal ultrasound has superior accuracy as compared to transabdominal one, thus allowing measurement of distance between placenta and cervical os